What percent of cardiac output goes to the kidneys?
1. 6%
2. 10%
3. 14%
4. 22%

Correct answer: 4. 22%

Explanation: Blood flow to the kidneys accounts for 22% of cardiac output. In general, the kidneys filter 160 liters of blood per day. Ref: Essentials of Pathophysiology By Carol M. Poh Page 642.